Which of the following is true regarding Hybridoma Technique
1. It is a method for production of monoclonal antibodies
2. B Cells are fused with myeloma cells using polyethylene glycol
3. HAT medium is used to differentiate fused v/s unfused cells
4. All of the above

Correct answer: 4. All of the above

Explanation: All the following statements are corret.